Innate immunity involves ?
1. T-cells
2. B-cells
3. Macrophages
4. Antibodies

Correct answer: 3. Macrophages

Explanation: Ans. is 'c' i.e., Macrophages Macrophages and neutrophils are phagocytic cells that engulf a microbial pathogen after it has been identified by the innate immune system